Cell-cell desmosomal junctions are formed by
1. E-cadherins
2. Connexons
3. Catenin
4. Integrins

Correct answer: 1. E-cadherins

Explanation: Cell junctions are organized into three basic typesOccluding junctions (tight junctions)Occludin, Claudin, Zonulin, and CateninAnchoring junctions (desmosomes)Cadherins Communicating junctions (gap junctions) Connexons Ref: Robbins and Cotran Pathologic Basis of Disease; 9th edition; Chapter 1; Cellular housekeeping; Page no: 11